Exudative pleural effusion is seen in:
1. Left ventricular failure
2. Nephrotic syndrome
3. Bacterial pneumonia
4. Hepatic failure

Correct answer: 3. Bacterial pneumonia

Explanation: Ans. C: Bacterial pneumonia